A 21yrs. old pt. attended a party the previous night and gives the following symptoms - pain in abdomen radiating to back, pulse 100/min, BP 100/76 temp 39°C and vomiting before coming Most probable dx is :
1. Acute appendicitis
2. Acute cholecystitis
3. Acute diverticulitis
4. Acute pancreatitis

Correct answer: 4. Acute pancreatitis